All of the following are true regarding dying deposition, except ?
1. Cross examination can be done
2. It should be recorded only by magistrate
3. Leading questions are permitted
4. Best system practiced in India compared to dying declaration

Correct answer: 4. Best system practiced in India compared to dying declaration

Explanation: It is more superior to dying deposition, but is not practiced in India.